In Bing test on alternately compressing and relaxing the tragus the sound increases and decreases. This indicates:
1. SN deafness
2. Adhesive otitis media
3. Otosclerosis
4. CSOM

Correct answer: 1. SN deafness

Explanation: (a) SN deafness(Ref. Scott Brown, 8th ed., Vol 2; 927)The other options being conductive pathologies so show no change in hearing.